All of the following are quantitative variables except
1. Gender
2. Weight
3. Serum cholesterol
4. Celsius temperature scale

Correct answer: 1. Gender

Explanation: Variable: Is a characteristic or attribute that vary from person to person, from time to time and from person to person